Not true about hepatoblastoma
1. Most common in children
2. Mature hepatocytes present
3. Not associated with cirrhosis
4. Fatal if untreated

Correct answer: 2. Mature hepatocytes present

Explanation: Ans. (b) Mature hepatocytes present(Ref: R 9th/pg 870)Histology of Hepatoblastoma can be of 2 types:Epithelial type, composed of small polygonal fetal cells or smaller embryonal cells forming acini, tubules, or papillary structuresMixed epithelial and mesenchymal type, which contains foci of mesenchymal differentiation that may consist of primitive mesenchyme, osteoid, cartilage, or striated muscle.Mature appearing hepatocytes are absent.